All are indicated in a patient with cystinuria with multiple renal stones except
1. Cysteamine
2. Increase fluid intake
3. Alkalinization of urine
4. Penicillamine

Correct answer: 1. Cysteamine

Explanation: Ans. a. Cysteamine Patient with cystinuria with multiple renal stones should be treated with increase urine volume (high fluid intake), alkalinization of urine Penicillamine and tiopronin. Cystinuria (AR) Inheritance: Autosomal recessive Molecular defect: Shared dibasic cystine transporter SLC3A1, SLC7A9Q Tissue manifesting transport defect: Proximal renal tubule, jejunal mucosaQ Individual substrate: COLA (Cystine, Ornithine, Lysine, Arginine)Q Clinical features: Cystine nephrolithiasisQ Treatment: Increase urine volumeQ (high fluid intake) Alkalinization of urineQ PenicillamineQ and tiopronin undergoes sulfhydryl-disulphide exchange with cystine to form mixed disulphides, since these disulphides are much soluble than cystine, pharmacologic therapy can prevent and promote dissolution of calculi